Most common cause of osteoblastic bone metastais
1. Renal cell carcinoma
2. Prostaic carcinoma
3. Wilm's tumor
4. Neuroblastoma

Correct answer: 2. Prostaic carcinoma

Explanation: Prostate carcinoma-M/c osteoblastic.